Carpal bone which articulates with radius -
1. Trapezium
2. Scaphoid
3. Capitate
4. Hamate

Correct answer: 2. Scaphoid

Explanation: Ans. is 'b' i.e.. Scaphoido Two carpal bones articulate with radius: Scaphoid and lunate.o Pisiform is a pea-shaped bone.o It has only one articular facet for articulation with triquetral.Carpal boneArticulating withScaphoidRadius, trapezium, trapezoid, lunate, capitateLunateRadius, capitate, hamate, scaphoid, triquetralTriquetralHamate, lunate, pisiformPisiformTriquetralTrapeziumScaphoid, trapezoid, 1st & 2nd metacarpalTrapezoidScaphoid, trapezium, capitate, 2nd metacarpalCapitateScaphoid, lunate, trapezoid, hamate, 2nd- 3rd & 4th metacarpalsHamateLunate, capitate, triquetral, 4th & 5lh metacarpals